A female, 35 years, P3 L3 with CIN III on colposcopic biopsy what would you do?
1. LEEP
2. Conservative
3. Hysterectomy
4. Cryotherapy

Correct answer: 1. LEEP

Explanation: Histologically proven CIN III in colposcopy should be treated Surgically Excisional methods are preferable like Loop electrosurgical exicision (LEEP ), LLETZ Specimen is obtained for histopathology and hence no chance of missing invasive cancer Outpatient procedure and Low cost Reference : Textbook of Gynaecology; Sheila balakrishnan; 2nd edition; Pg no: 306